C/F of Turner's syndrome:
1. Secondary amenorrhea
2. Edema of hands and feet
3. XY genotype
4. Intellectual disability common

Correct answer: 2. Edema of hands and feet

Explanation: Turner's syndrome 45,XO genotype short strature neck is short and webbed shield chest,high palate,low set ears lymphoedema of extremities at birth SHAW'S TEXTBOOK OF GYNAECOLOGY,Pg no:111,15th edition